The following illnesses are associated with high altitude EXCEPT-
1. Cerebral edema
2. Hypoventilation
3. Venous thrombosis
4. Refractory cough

Correct answer: 2. Hypoventilation

Explanation: High-altitude cerebral edema (HACE) is a medical condition in which the brain swells with fluid because of the physiological effects of traveling to a high altitude. It generally appears in patients who have acute mountain sickness and involves disorientation, lethargy, and nausea among other symptoms. Spontaneous vascular thrombosis may occur after a short climb or prolonged stay at high altitude (HA). Both venous and arterial thrombosis has been reported in the literature and cause significant morbidity and mortality. Diagnosis is often difficult; treatment delayed and postthrombotic sequelae disabling The Khumbu cough, also referred to as the high altitude hack, is a cough caused by the low humidity and temperatures associated with high altitudes. The Khumbu cough is named after the valley that leads up to Mount Everest in Nepal, but the cough itself is not specific to the Everest region. Ref Davidson 23rd edition pg 1085